All the following diseases contain abnormal immunoglobulin except:
1. Multiple myeloma
2. Reactive arthritis
3. Seligman's disease
4. Franklin's disease

Correct answer: 2. Reactive arthritis

Explanation: Multiple myeloma – Bence Jones proteins
Seligmann's disease – Alpha chain
Franklin's disease – Gamma chain